Which of the following DOESN'T develop from bronchial pouch:
1. Superior parathyroid
2. Inferior parathyroid
3. Thymus
4. Thyroid

Correct answer: 4. Thyroid

Explanation: Ans. (d) ThyroidRef : LB. Singh 9th ed. /116-17* Superior parathyroid derived from 4th branchial pouch* Inferior parathyroid and thymus develops from 3rd branchial arch* Most of the thyroid gland develops from thyroglossal duct (endodemal duct at foramen cecum).